A Gridiron incision becomes a Rutherford Morison's incision is extended by -
1. Splitting the muscles laterally
2. Cutting the muscles laterally
3. Cutting the muscles medially into the rectus sheath
4. Incising vertically along the rectus muscle

Correct answer: 2. Cutting the muscles laterally